Commonest type of Anal canal Ca is -
1. Sq. cell Ca
2. Adeno Ca
3. Adenoacanthoma
4. Papillary type

Correct answer: 1. Sq. cell Ca

Explanation: Mainly 3 types of malignant neoplasm are seen in anal canal

Squamous cell Ca (MC)
Basal cell Ca (IInd mc)
Melanoma

Remember

MC type of rectal & colon Ca → Adenocarcinoma*.